All are seen in testicular feminization syndrome except :
1. 46XY
2. Primary amenorrhea
3. Short stature
4. Vagina may be present

Correct answer: 3. Short stature

Explanation: Short stature